Most malignant testicular tumors is:
1. Seminoma
2. Teratoma
3. Choriocarcinoma
4. Embryonal carcinoma

Correct answer: 3. Choriocarcinoma

Explanation: Topic: - TESTICULAR TUMOR MC histological type of testicular tumor: Mixed (if option is there, otherwise seminoma) - MC tumor of testis: Seminoma - MC bilateral testicular tumor: Seminoma. - Most radiosensitive testicular tumor: Seminoma. MC testicular tumor in infant & children upto 3 years: Yolk sac tumor. MC testicular tumor in prepubertal children: Teratoma. - MC testicular tumor in patients > 60 years: Lymphoma - MC bilateral testicular tumor: Lymphoma. - MC secondary testicular tumour: Lymphoma. MC histologic type of testicular lymphoma: Diffuse large B-cell lymphoma (DLBL) Testicular tumour with best prognosis: Yolk sac tumor. Testicular tumour with worst prognosis: Hurricane tumor (Type of choriocarcinoma) Most malig: Choriocarcinoma